Inspiratory stridor is found in what kind of lesions:
1. Supraglottic
2. Subglottic
3. Tracheal
4. Bronchus

Correct answer: 1. Supraglottic

Explanation: Answer A. SupraglotticGenerally, an inspiratory stridor suggests airway obstruction above the glottis.While an expiratory stridor is indicative of obstruction in the lower trachea.A biphasic stridor suggests a glottic or subglottic lesion.